Drugs that are highly bound to albumin
1. Effectively cross the BBB
2. Have a large Volume of distribution
3. Are easily filtered at the glomerulus
4. Can undergo competition with other drugs for albumin binding sites

Correct answer: 4. Can undergo competition with other drugs for albumin binding sites

Explanation: Plasma protein binding 1) Highly plasma protein bound drugs are largely restricted to the vascular compartment because protein bound drug does not cross membranes,thus they tend to have smaller volumes of distribution. 2)High degree of protein binding generally makes the drug long acting, because bound fraction is not available for metabolism or excretion, unless it is actively extracted by liver or by kidney tubules. 3) One drug can bind to many sites on the albumin molecule. Conversely, more than one drug can bind to the same site. This can give rise to displacement interactions among drugs bound to the same site(s). The drug bound with higher affinity will displace that bound with lower affinity. Some clinically important displacement interactions are: * Aspirin displaces sulfonylureas. * Indomethacin, phenytoin displace warfarin. Ref:- kd tripathi; pg num:-19,20